Cachectin is produced by-
1. Neutrophils
2. Eosinophils
3. Macrophages
4. Basophils

Correct answer: 3. Macrophages

Explanation: Cachectin (Tumour necrosis factor - α) is produced by -

Macrophages
Monocytes
N.K. Cells

Biological effects of TNF-α

Tumor cytotoxicity
Induction of acute phase proteins
Lipolysis
Endotoxic shock
Fever
Antiviral and antiparasitic effect
Cachexia
Phagocytic cell activation